Sunflower cataract is associated with:
1. Chalcosis
2. Juvenile diabetes mellitus
3. Down syndrome
4. Trauma

Correct answer: 1. Chalcosis

Explanation: Ans. A: Chalcosis Sunflower cataract is associated with deposition of copper Chalcosis lentis/ Copper cataract/ Sunflower cataract A cataract caused by excessive intraocular copper. May be due to intraocular, copper containing foreign bodies Copper deposits in Descemet membrane, vitreous, internal limiting membrane of the retina, and fibrous capsule around the foreign bodies could be demonstrated by rhodanine, rubeanic acid, and alizarin blue stains Eyes with foreign bodies containing more than 85% copper tended to show more disseminated copper deposits. Eyes with alloy containing less than 85% copper showed more localized deposits of copper.